Safest treatment of hyperthyroidism in pregnant women is:
1. Radioactive iodine
2. Methimazole
3. Carbimazole
4. Propylthiouracil

Correct answer: 4. Propylthiouracil